What is posthumous birth
1. Birth of a child after the father dies
2. Father dies after child is born
3. Mother dies after child is born
4. Any of the above

Correct answer: 1. Birth of a child after the father dies

Explanation: Posthumous birth means baby is born after father's death.